Which is the most common site of Necrobiosis lipoidica diabeticorum?
1. Face
2. Neck
3. Front of leg
4. Back of leg

Correct answer: 3. Front of leg

Explanation: Necrobiosis lipoidica diabeticorum appear most commonly over the tibial shin. It is seen more frequently in type 1 than in type 2 diabetes and may occur before the onset of clinical diabetes. It is more commen in women than in men. It is characterized by yellow - red to brown, translucent shiny patches and plaques that slowly enlarge over months to years resulting in epidermal atrophy and telengiectasia.